A burn patient is referred to a burn unit when
1. Burns involving palms
2. Scald in face
3. Chemical burns
4. All of the above

Correct answer: 4. All of the above

Explanation: Indications for referring to a burns unit :

Airway burns.
Burns of palms,soles, genitalia and face.
Chemical or elctrical burns.
Any pt requring IV fluids.